Commonest cause of intestinal obstruction in children is:
1. Intussusception
2. Volvulus
3. Hernia
4. Adhesions

Correct answer: 1. Intussusception

Explanation: a. Intussusception(Ref: Nelson's 20/e p 1894-1897', Ghai 8/e p 285-286)Intussusception occurs when a portion of the alimentary tract is telescoped into an adjacent segment.